Most common cause of Down syndrome is
1. Robertsonian translocation
2. Mosaicism
3. Meiotic nondisjuction
4. Epigenetic mutation

Correct answer: 3. Meiotic nondisjuction

Explanation: Genetics of Down syndrome 95% cases - Meiotic nondisjunction of chromosome 21 occurring in the ovum 4% cases - Robertsonian translocation 1% cases - Mosaicism resulting from mitotic nondisjunction of chr 21